Numerator in maternal mortality ratio -
1. Female deaths in a given year
2. Female death during pregnancy
3. Female death during pregnancy 8c puerperium
4. Female death in puerperium

Correct answer: 3. Female death during pregnancy 8c puerperium

Explanation: Ans. is 'c' i.e., Female death during pregnancy & puerperium * Maternal mortality ratio is defined as total number of maternal deaths i.e. deaths due to complications of child birth, pregnancy or within 42 days of delivery from 'puerperal causes' in the area during a given year Per 1000 or (100,000) live births in the same area during the same year.MMR =Total no. of female death due to complications of pregnancy, childbirth or with 42 days of delivery from puerperal causes in an area during a given year----------------------------------------------------------------Total no. of live birth in the same area & yearx 1000 (or 100,000)